Wormain bones are seen in
1. Hypothyroidism
2. Down's syndrome
3. Osteogenesis impefecta
4. All the above

Correct answer: 4. All the above

Explanation: These are intrasutural bony ossicles in lambdoid, posterior sagittal, temporosquamosal sutures of skull.